All are grass root worker's except -
1. Anganwadi workers
2. Traditional birth attendants
3. Village health guide
4. Health assitants

Correct answer: 4. Health assitants

Explanation: Ans. is 'd' i.e., Health assistants Gross root level workers are health workers at the lowest level, i.e., at village level. Health assistant work at subscentre and PHC levels. Primary health care in India Primary health care can he divided into followin2 levels ? 1. Village level (Grass root level) To implement policy at village level, the following schemes are in operation. a) Village health guides scheme b) Training of local Dais c) ICDS scheme A ngann.udi worker. d) ASHA scheme Sub-centre level Primary health centre level Community health centres level.